Paralysisof 3rd, 4th, 6th nerves with involvement of ophthalmicdivisionof5thnerve, localizes the lesion to
1. Apex of orbit
2. Brainstem
3. Cavernous sinus
4. Base of skull

Correct answer: 3. Cavernous sinus

Explanation: Ipsilateral ophthalmoplegia  causing diplopia occur due to 3rd, 4th  & 6th cranial nerves.
6th nerve passes through cavernous sinus and others are related to the lateral wall of cavernous sinuses.